A patient presents to the emergency department with uniocular diplopia. Examination iwth oblique illunination shows golden crescent while examination with co-axial illumination show a dark crescent line. Which of the following is the most likely diagnosis -
1. Lenticonus
2. Coloboma
3. Microspherophakia
4. Ectopia lentis

Correct answer: 4. Ectopia lentis

Explanation: Presence of uniocular diplopia together with finding of golden crescent on oblique illumination (edge of subluxated lens) or black crecent line on coaxial illumination (edge of subluxated lens) suggests a diagnosis of 'subluxation' of the crystalline lens. Ectopic lentis refers to displacement of lens from its normal position (subluxation, dislocation). (Ref: Ophthalmology by khurana 7th/e p.222 & (2005)/e p.24; Clinical Examination in by Mukherjee 2006/e p.166; Neema 6th/e p.285, 286)